All are non-parametric tests except -
1. Chi-square test
2. Sign test
3. Fisher exact test
4. Student t-test

Correct answer: 4. Student t-test

Explanation: Ans. is 'd' i.e., Student t-test